Eye of newborn is
1. Emmetrophic
2. Hypermetrophic
3. Myopic
4. Astigmatic

Correct answer: 2. Hypermetrophic

Explanation: Eye at birth Anteroposterior diameter of eyeball is about 16.5 mm Corneal diameter is about 10 mm Anterior chamber is shallow and angle is narrow Pupil is small and doesnot dilate fully. Lens is spherical at birth Retina is fully differentiated at birth. Macula differentiates 4-6 months after birth Myelination of optic nerve fibres has reached the lamina cribrosa Refractive status. Newborn is usually hypermetropic by +2 to +3 D Orbit is more divergent(50o) as compared to adult (45o) Lacrimal gland is still underdeveloped and tears are not secreted. Reference: A.K.Khurana; 6th edition; Page no:13